Vitamin B12 acts as co-enzyme to which one of the following enzymes?
1. Isocitrate dehydrogenase
2. Homocysteine methyl transferase
3. Glycogen synthase
4. G-6-P dehydrogenase

Correct answer: 2. Homocysteine methyl transferase

Explanation: Vitamin B12 acts as co-enzyme to enzyme Homocysteine methyltransferase in the reaction Folic acid deficiency may cause increased homocysteine levels in the blood. Plasma homocysteine levels above 15 micromoles / L is known to increase the risk of coronary artery diseases. Providing adequate doses of pyridoxine, B12, and folic acid may lower the homocysteine levels. Ref: DM Vasudevan - Textbook of Biochemistry, 8th edition, page no: 475, fig harper 44.14 page 558